Focal length of head mirror used in ENT-OPD -
1. 9 inch
2. 10 inch (25 cm)
3. 11 inch
4. 12 inch

Correct answer: 2. 10 inch (25 cm)